Which of the following is a aseptate fungus
1. Aspergillus
2. Candida
3. Nocardia
4. Rhizopus

Correct answer: 4. Rhizopus

Explanation: Aspergillus - septate hyphae. Candida - pseudohyphae. Nocardia is a bacterium. Reference: Textbook of Microbiology; Baveja; 4th edition